The diagnostic feature that differentiates PTSD from other disorders that occur following a stressful incident is:
1. Episodic occurrence of symptoms
2. Severe anxiety and autonomic arousal
3. Re-experiencing and avoidance of trauma
4. Nightmares about the event

Correct answer: 3. Re-experiencing and avoidance of trauma

Explanation: Ans. c. Re-experiencing and avoidance of trauma